Syndrome which is associated with increased susceptibility to HPV infection is:
1. WHIM syndrome.
2. MOHN syndrome
3. Both
4. None

Correct answer: 1. WHIM syndrome.

Explanation: WHIM syndrome is:
W- warts.
H-hypogamma globulamia.
I- infections.
M- myelokathesis.